A patient underwent surgery for ovarian mass diagnosed on ultrasound. The tumor markers were negative. At laparotomy peritoneal washings were taken and after thorough inspection of abdomen Ipsilateral salpingo-oophorectomy was performed. The lateral end of the pedicle is formed of
1. Round ligament
2. Ovarian ligament
3. Mesosalpinx
4. Infundibulopelvic ligament

Correct answer: 4. Infundibulopelvic ligament

Explanation: Ans. D. Infundibulopelvic ligamentThe medial end of the pedicle is formed of round ligament and medial end of fallopian tube that is the interstitial end. The middle portion of the pedicle is formed of mesosalpinx.